Kayser-Fleischer ring will be present in what proportion of patients with neurologic manifestations of wilson disease?
1. Almost 100 %
2. Less than 10 %
3. 30-50 %
4. 20-30 %

Correct answer: 1. Almost 100 %

Explanation: Kayser-Fleischer rings diagnosed definitively by an ophthalmologist using a slit lamp. They are present in >99% of patients with neurologic/psychiatric forms of wilson. Kayser-Fleischer rings are present in only 30-50% of patients diagnosed in the hepatic or presymptomatic state of wilson disease. Reference: Harrisons Principles of Internal Medicine, 18th Edition, Page 3188